Area of the brain is usually not involved in WernickeKorsakoff syndrome:
1. Periventricular gray matter
2. Mammillary bodies
3. Hippocampus
4. Thalamus

Correct answer: 3. Hippocampus

Explanation: Ans. Hippocampus